Avascular necrosis of which of the following bone result in Kohler's Disease?
1. Lunate bone
2. Femoral neck
3. Navicular Bone
4. Medial cuneiform bone

Correct answer: 3. Navicular Bone

Explanation: Osteochondritis of Navicular bone is known as Kohler's Disease. It results in avascular necrosis of Navicular bone.